Somatic passivity is a feature of
1. Depressive illness
2. Paranoid Schizophrenia
3. Hypochondriasis
4. Panic disorder

Correct answer: 2. Paranoid Schizophrenia

Explanation: Somatic Passivity: The patient believes that sensation are being imposed upon his body by an outside force. Part of Schizophrenia - First-Rank SymptomsSchizophrenia - First-Rank SymptomsDELUSIONAL PERCEPTIONAUDITORY HALLUCINATIONSDELUSIONS OF THOUGHT INTERFERENCEThought insertion (put into your head)Thought withdrawal (taken out of your head)Thought broadcasting (broadcast so that other people know what you are thinking)PASSIVITY PHENOMENON OR DELUSIONS OF CONTROLControl of the Impulses, Actions, Feelings, Sensations by an external force